Which among the following is the most superficial layer of skin
1. Stratum corneum
2. Stratum basale
3. Stratum granulosum
4. Stratum spinosum

Correct answer: 1. Stratum corneum

Explanation: Ans) a (Stratum spinosum) Ref: Lever's histopathology) of skin edition no 11.The keratinocytes are arranged in four layers: basal cell layer (stratum basalis), squamous cell layer (stratum spinosum), granular layer (stratum granulosum), and homy layer (stratum corneum). The terms stratum malpighii and rete malpighii are often applied to the three lower layers, which contain the basal, squamous, and granular cells, and comprise the nucleated, viable epidermis. An additional layer, the stratum lucidum, can be recognized in areas having a thick stratum granulosum and corneum forming the lowest portion of the homy layer, especially on the palms and soles.